Lines of Zahn occur in -
1. Postmortem clot
2. Infarct
3. Embolus
4. Coralline thrombus

Correct answer: 4. Coralline thrombus

Explanation: It is seen in Primary platelet thrombi.